Chediak Higashi syndrome is characterized by?
1. Giant granules in leukocytes
2. Albinism
3. Mutation in LYST gene
4. All the above

Correct answer: 4. All the above

Explanation: Ans. is 'd' i.e., All the aboveThe rapid antibody based diagnostic test/card test uses histidine rich protein 2 or lastate dehydrogenase. It is rapid simple sensitive and specific test.